Meckel's diverticulum is remnant of
1. Thyroglossal tract
2. Midgut
3. Urachus
4. Vitelline duct

Correct answer: 4. Vitelline duct

Explanation: It is a congenital diverticulum arising from the terminal ileum and is part of the unobliterated proximal portion of the vitello intestinal duct..Intestinal endof the vitelline duct may remain patent forming Meckel's diverticulum, which may be attached to umbilicus with a fibrous band. Meckel's diverticulum itself can cause diverticulitis, obstruction. ref:SRB'S manual of surgery,ed 3,pg no 798